According to the 1CD-10 revision, for establishing a diagnosis of mania, the symptoms should persist for at least:
1. 1 week
2. 2 weeks
3. 3 weeks
4. 4 weeks

Correct answer: 1. 1 week

Explanation: Answer- A. 1 weekAbnormality and persistently elevated, irritable or expensive mood for >1 weeks or need hospitalization>3 ofthese hyperactivities:Decreased need of sleepIncrease in goal orientated activity (social, spiritual, sexual, religious)* Excessive involvement in pleasurable activities (unrestrained buying sprees, foolish business investments, donations or sexual indiscretion) that have a higher potential for painful consequencesMore talkative or pressure to keep talkingInflated self esteem or grandiosityDistractibilityFlight of ideas or racing thoughts